which of the following is a essential amino acid ?
1. Lysine
2. Alanine
3. Asparagine
4. Glycine

Correct answer: 1. Lysine

Explanation: Essential amino acids are tryptophan valine threonine leucine lysine phenylalanine &methionine-total 8amino acids (TV TILL 8 PM). their carbon skeleton cannot be synthesized by human beings &so preformed amino acid are to be taken in food for normal growth. Normal growth will not occur if one such amino acid is deficient in the diet. Ref: DM Vasudevan - Textbook of Biochemistry for Medical Students, 7th edition, page no: 27